Pseudocyst of pancreas develops after attack of acute
pancreatitis
1. Few days
2. 2 weeks
3. 3 weeks
4. More than 4 weeks

Correct answer: 4. More than 4 weeks

Explanation: It usually devolops at 6 weeks after acute pancreatitis.